HIV infects which of the following cells?
1. NK cells
2. T-helper cells
3. T suppressor cells
4. Plasma cells

Correct answer: 2. T-helper cells

Explanation: Ref: Textbook of Microbiology, 8th edition, .4 nanthna ray an and Paniker, Page 572Explanation:Infection is initiated by HIV after contact with a suitable host cell, namely the T-helper cell or CD4 lymphocyte.Receptor for HIV is - CD4 antigen borne primarily on CD4+ (helper/inducer) T lymphocyte, for which the cheinokine co-receptor involved is- CXCR4.HIV also infects Macrophages, the chemokines co-receptor involved is- CCR5.Rare hereditary conditions involving mutation of CCR5 (32 base pair deletion in the ORF-d32) -- Genetic resistance to acquiring HIV infection, delay AIDS onset or LTNPs (Long Term Non-Progressors).Cell Types Infected by HIV and Chemokine Co-receptorCD4+ T-helper cells - CXCR4.Macrophages - CCR5.Dendritic cells.